Cholesterosis is -
1. Disease of defective metabolism of choline
2. Concerned with epithelial tumours of brain
3. Diffuse depositon of cholesterol in mucosa of gall bladder
4. Disease concerned with obstructive jaunidce

Correct answer: 3. Diffuse depositon of cholesterol in mucosa of gall bladder

Explanation: • It is an acquired histologic abnormality of the gallbladder epithelium that results in an excessive accumulation of lipid (cholesterols esters and triglyceride)Q within epithelial macrophage of the GB wall.
• Cholesterol stones are found in half of the cases.
Pathology
• Gross Appearance: The mucosa has pale, yellow streaks running longitudinally giving rise to the term strawberry gallbladder (although the mucosa is usually bile stained rather than red).
• Diffuse form (“strawberry gallbladder”): GB mucosa is brick red and speckled with bright yellow flecks of lipid.
• Localized form: Solitary or multiple “cholesterol polyps” studding the gallbladder wall.
Treatment
• Cholecystectomy is indicated in symptomatic cholesterolosis or when cholelithiasis is present.